Dix Hallpike monouvre is used to assess ?
1. Differentiate peripheral and central lesions of vestibular system
2. Differentiate cochlear and retrocochlear deafness
3. Assess neonatal hearing loss
4. Assess patency of Eustachian tube

Correct answer: 1. Differentiate peripheral and central lesions of vestibular system

Explanation: Ans. is'a'i.e., Differentiate peripheral and central lesions of vestibular systemRef: Dhingra Sh/e p. 47) Hallpike test is a test for assessing vestibular function.It is particularly useful when patients complain of vertigo in certain head positions.It helps to differentiate peripheral and central lesions.